Which one of the following is not true about ultra sonics
1. Oscillates between 1500 to 3000 Hz
2. Releases energy known as cavitation
3. Acoustic streaming
4. Implosion

Correct answer: 1. Oscillates between 1500 to 3000 Hz